HLA is present on -
1. Short term of chromosomes 3
2. Short arm of chromosomes 6
3. Long arm of chromosomes 3
4. Long arm of chromosomes 6

Correct answer: 2. Short arm of chromosomes 6

Explanation: Ans. is 'b' i.e., Short arm of chromosomes 6 o HLA complex of genes is located on the short arm of chromosome 6.